MC site for endometriosis is:
1. Ovaries
2. POD
3. Uteroscacral ligaments
4. Uterus

Correct answer: 1. Ovaries

Explanation: Ans. is 'a' i.e., Ovaries * MC sites in order of frequency:a) Ovaries (ovarian endometriosis = endometrioma = chocolate cyst of the ovaries)b) PODc) Uterosacral ligaments